Child presents with ling verracons plaques on the trunk with vacuolization of keratinocytes in S.Spinosum and S.Granulosum.Dignosis is?
1. Incontinenta pigmenti
2. Delayed hypersensitivity reaction
3. Verrucous epidermal nevus
4. Linear darriers disease

Correct answer: 3. Verrucous epidermal nevus

Explanation: NAEVI:- Circumscribed congenital anomaly of skin.Depending of cell/tissue of origin,naevi are classified as:-1. Epidermal- arising from keratinocytes 2. Melanocytic-arising from melanocytes.3. Connective tissue /vascular. EPIDERMAL NAEVI: 1. Veruccous epidermal naevi- present at birth as brownish plaques. As the child grows the lesions become more prominent and warty.the lesions may be localised to a small area /appear in streaks affecting one half of body or both halves.Vacoulisation of keratinocytes in S.spinosum and S. granulosum seen . 2. Inflammatory linear veruccous epidermal naevi (ILVEN):-pruritic,erythematous and scaly.3. Sebaceous naevi-yellowish plaques on the scalp and face. On the scalp,usually devoid of hair.4. Epidermal naevus syndrome- Naevi with abnormalities in other organ systems (CNS,eye and skeleton)5. Becker's naevus:- males usually around adolescence. It appears as an irregular large area of pigmentation with hypertrichosis over the shoulder and chest. MELANOCYTIC NAEVUS:- 1. Acquired- after infancy. Lesions progress and involutes as the person ages.2. Congenital-small,medium and large giant naevi. Large/giant naevi may be surrounded by satellite naevi.3. Naevus of ota- unilateral, bluish macule in the area supplied by the 1st and 2nd division of trigeminal nerve.4. Naevus achromicus-non progressive hypo pigmented macule.( vitiligo- progressive).5. Naevus anaemicus6. Naevus spilus.:- cafe au lait macules superimposed with multiple small darker melanocytic lesions. {Reference: IADVL textbook of dermatology, Page 174.